Monochorionic monoamniotic twin occurs if division occurs :
1. Before 24 hours
2. 1-4 days
3. 4-8 days
4. > 8 days

Correct answer: 4. > 8 days

Explanation: > 8 days